Which muscle is an abductor of the vocal cords?
1. Transverse arytenoid
2. Oblique arytenoid
3. Lateral thyroarytenoid
4. Posterior Cricoarytenoid

Correct answer: 4. Posterior Cricoarytenoid

Explanation: movement and muscles 1.Elevation of larynx: thyrohyoid.mylohyoid 2. Depression of larynx: .sternothyroid, sternohyoid. 3. Opening inlet of larynx: thyroepiglottic. 4. Closing inlet of larynx: aryepiglottic 5. Abductor of vocal cords: posterior cricoarytenoid only 6. Adductor of vocal cords: lateral cricoarytenoid transverse and oblique arytenoids Ref BDC volume 3, 6th edition pg 258